One of the following is an agglutination test in the diagnosis of typhoid:
1. Wide test
2. Eleks test
3. Mantoux test
4. Wasserman test

Correct answer: 1. Wide test